A lady with 12-week pregnancy with bleeding and on examination vagina is normal, Internal OS is closed and live birth sign on USG and fundal height is 13 weeks. Diagnosis;
1. Threatened abortion
2. Complete abortion
3. Incomplete abortion
4. Inevitable abortion

Correct answer: 1. Threatened abortion

Explanation: The above case history is suggestive ofThreatened abortion. Abdominal pain or bleeding in the first 20 weeks of gestation Cervical Os: closed No Passage of Fetal Tissue Management- Bed Rest Avoid Coitus Avoid Lifting weights Progesterone is given to compliment the placental function